All of the following are the advantages of using Raloxifene over estrogen in postmenopausal women except:
1. Reduces fracture rates
2. Avoids endometrial hyperplasia
3. Reduces the incidence of venous thrombosis
4. No increase in incidence of breast carcinoma

Correct answer: 3. Reduces the incidence of venous thrombosis

Explanation: Ans. is c, i.e. Reduces the incidence of venous thrombosisRef: Shaw 15th/ed, p69Raloxifene increases the incidence of venous thrombosis rather than decreasing it.It does not have a proliferative effect on endometrium, so it is not associated with an increase in the risk of uterine cancer.Role of raloxifene in breast cancer."The SERM tamoxifen is an estrogen antagonist in the breast that is used in the treatment of estrogen-receptor positive breast cancer. Raloxifene also may reduce the risk of breast cancer. Postmenopausal women receiving raloxifene as part of a large osteoporosis treatment trial, experienced a 76% reduction in the risk of invasive breast cancer compared with placebo-treated women." Ref: Novak 14th/ed, pi333